The reproductive method by which fungi asexually produce rectangular spores by fragmentation of hyphae is known as
1. Chlamydospore
2. Blastospore
3. Conidiophore
4. Arthrospore

Correct answer: 4. Arthrospore

Explanation: Arthrospores are produced by fragmentation of hypha of some fungi like Trichosporon, Coccidioides immitis and Paracoccidioides brasiliensis.